Figure of 8 in chest X Ray is seen in
1. Ebstein Anomaly
2. Total Anomalous pulmonary venous connection (TAPVC)
3. Tetrology of fallot (TOF)
4. Transposition of great vessels (TGA)

Correct answer: 2. Total Anomalous pulmonary venous connection (TAPVC)

Explanation: B i.e. Total Anomalous Pulmonary Venous Connection (TAPVC)